Smallest muscle in the body is:
1. Interarytenoid
2. Stapedius
3. Corrugator supercilli
4. Superior oblique

Correct answer: 2. Stapedius

Explanation: B i.e. Stapedius